Systematic desensitization is a behavior therapy used in treatment of which of the following disorder?
1. Depression
2. PTSD
3. Schizophrenia
4. Phobia

Correct answer: 4. Phobia

Explanation: Ans. D. PhobiaSystematic Desensitization is best method for treatment of phobia in which patient is exposed first to least anxiety provoking stimulus to the higher and finally highest anxiety provoking stimulusFlooding means patient is exposed to highest anxiety provoking stimulus as part of treatment in exposure method so that he is treated of his abnormal fear i.e. phobia.